Resistant schizophrenia is treated with
1. Chlorpromazine
2. Haloperidol
3. Loxapine
4. Clozapine

Correct answer: 4. Clozapine

Explanation: (D) Clozapine # Clozapine can cause agranulocytosis and seizures as side-effects, it should be used with caution.ANTI PSYCHOTIC DRUGSA. Typical Or Traditional Antipsychotics1. Chlorpromazine (CPZ)300-15002. Thioridazine300-8003. Trifluoperazine15-604. Haloperidol5-1005. Pimozide4-126. Triflupromazine100-4007. Prochlorperazine45-1508. Flupenthixol3-109. Loxapine25-15010. Zuclopenthixol50-150B. Atypical Or Newer Antipsychotics11. Clozapine25-45012. Risperidone2-813. Olanzapine5-2014. Ziprasidone40-160